The most important point of reference in the use of forceps is :
1. The Plane of greatest dimension
2. Posterior sagittal diameter
3. Pelvic axis
4. Station of biparietal diameter

Correct answer: 4. Station of biparietal diameter

Explanation: Station of biparietal diameter